Anaphylaxis is caused by-
1. N2O
2. Althesin
3. Halothane
4. Propofol

Correct answer: 2. Althesin

Explanation: (Refer: Morgan and Mikhail’s Clinical Anaesthesiology, 5th edition)
Althesin

Althesis is a neurosteroid
It was used as a parenteral anaesthetic
It was withdrawn from the market because of several severe anaphylactic reactions